Gluteus medius muscle is supplied by -
1. Obturator artery
2. ilio-inguinal artery
3. Superior gluteal artery
4. Inferior gluteal artery

Correct answer: 3. Superior gluteal artery

Explanation: Superior gluteal artery supplies gluteus medius and gluteus minimus. Inferior gluteal artery supplies gluteus maximus.